All of the following are red flag signs of back pain except -
1. Previous history of malignancy
2. Previous history of steroid use
3. Saddle anaesthsia
4. Age between 35-50

Correct answer: 4. Age between 35-50

Explanation: Answer- D. Age between 35-50FeaturesPrevious history malignancy (however Iong ago)Age 16< or >50 with NEW onset painWeight loss (unexplained)Previous longstanding steroid useRecent serious illnessRecent significant infectionSignsSaddle anaesthesiaReduced anal toneHip or knee weakness